Mite is a vector for -
1. R.typhi
2. R.prowazeki
3. R.rickettsii
4. R.tsutsugamushi

Correct answer: 4. R.tsutsugamushi

Explanation: Mite transmits: Rickettsial Pox and Scrub Typhus
Agent for Rickettsial Pox: R.akari
Agent for Scrub Typhus: Orientia tsutsugamushi (old name- R. tsutsugamushi)